In venturi mask maximum O2 concentration attained is
1. 90%
2. 100%
3. 60%
4. 80%

Correct answer: 3. 60%

Explanation: Maximum concentration delivered by ventimask (venturimask) is 60%.